Which of the following statements is not true for heparin
1. Acts by activating anti-thrombin III
2. Protamine sulphate antagonizes its action
3. Requires aPTT monitoring in patient
4. Has only in vivo anticoagulant action

Correct answer: 4. Has only in vivo anticoagulant action